Mirena is:
1. Used in abortions
2. Antiprogesterone
3. Progesterone IUCD
4. Hormonal implant

Correct answer: 3. Progesterone IUCD